In which of the following locations (spaces), there is collection of pus in quinsy?
1. Peritonsillar space
2. Parapharyngeal space
3. Retropharyngeal space
4. Within tonsil

Correct answer: 1. Peritonsillar space

Explanation: Quinsy is also called peritonsillar abscess. It is collection of pus in peritonsillar space which lies between capsule of tonsil and superior constrictor muscle.Parapharyngeal space (also called pharyngomaxillary or lateral pharyngeal space) lies lateral to pharynx and extends from the base of skull above to the greater cornua of hyoid bone below. Infection of this space causes parapharyngeal abscess.Retropharyngeal space lies between buccopharyngeal fascia covering the constrictor muscles of pharynx and prevertebral fascia covering prevertebral muscle. Retropharyngeal space extends from skull base to bifurcation of trachea. Infection of this space causes acute or chronic retropharyngeal abscess due to tuberculous lymph nodes which lie in this space.Infection of prevertebral space which lies between vertebral bodies and prevertebral fascia causes prevertebral abscess (also called, though improperly, the chronic retropharyngeal abscess). This space extends from skull base to coccyx.Abscess within the tonsil is formed due to infection of its crypts and forms an intratonsillar abscess.Various head and neck spaces where abscesses can form.